Systemic vascular resistance is twice that of normal, treatment should be:
1. Adrenaline
2. Nor-adrenaline
3. Sodium nitroprusside
4. Isoprenaline

Correct answer: 3. Sodium nitroprusside

Explanation: Ans. (C) Sodium nitroprusside(Ref: KDT 8th/e p613)Increase in systemic vascular resistance means vasoconstriction, thus a vasodilator drug like nitroprusside should be used. Adrenaline and nor-adrenaline act as vasopressors whereas isoprenaline increases systolic blood pressure by acting on heart.